Most common type of congenital adrenal hyperplasis is
1. 11 β Hydroxylase deficiency
2. 21 Hydroxylase deficiency
3. 17 α Hydroxylase deficiency
4. None of the above

Correct answer: 2. 21 Hydroxylase deficiency